Alpha fetoprotein is decreased in :
1. Anencephaly
2. Anterior abdominal wall defects
3. Renal anomalies
4. Down's syndrome

Correct answer: 4. Down's syndrome

Explanation: Down's syndrome